Pogonion is
1. Most inferior point on the contour of the chin
2. Lowest point on the syrn physeal outline
3. Most posterior inferior point on the angle of the mandible
4. Anterior most point on the contour of the chin

Correct answer: 4. Anterior most point on the contour of the chin